Shakir's tape is an example of:
1. Community participation
2. Intersectoral coordination
3. Equitable distribution
4. Appropriate technology

Correct answer: 4. Appropriate technology

Explanation: Norms under Appropriate technology: Technology that is scientifically sound. adaptable to local needs. acceptable to those who apply it and those for whom it is used. can be maintained using the locally available resources. - Shakir's tape used to measure mid-arm circumference of child accept all the above norms.